Parotid duct opens opposite to:
1. Upper 1st molar
2. Upper 2nd molar
3. Upper 2nd premolar
4. Upper 1st premolar

Correct answer: 2. Upper 2nd molar

Explanation: Ans. B: Upper 2nd molar